H. pylori infection is seen in all except:
1. Duodenal ulcer
2. Gastric carcinoma
3. Gastric lymphoma
4. Fundal gastritis

Correct answer: 4. Fundal gastritis